Between 50-70 IQ indicates
1. Mild mental retardation
2. Moderate retardation
3. Severe mental retardation
4. Profound MR

Correct answer: 1. Mild mental retardation

Explanation: (A) Mild mental retardation I.Q. LABELI.Q. Score Range* Genius> 145* Very superior> 130* Superior120-130* Bright normal110-120* Normal90-110* Dull normal80-90* Borderline retardation70-80* Mild retardation50-70* Moderate retardation35-50* Severe retardation20-35* Profound retardation<20* 67% of population have an IQ between85 & 115* 95% of population have an IQ between70 & 130* Average IQ for high school graduates is105* Average IQ for college graduates110* People with doctoral degrees have130